What is the approximate size of miRNA molecules produced by Dicer nuclease?
1. 11 bp
2. 22 bp
3. 56 bp
4. 75 bp

Correct answer: 2. 22 bp

Explanation: MicroRNAs : Small (22 nucleotides long) Endogenous, Non-coding RNAs Involved in regulation of gene expression by post-transcriptional gene silencing (PTGS)/RNA interference. Dicer is an endonuclease that trims small double-stranded RNA and generates short, double stranded (ds) miRNA molecules that can block translation. Dicer cleaves the cytosolic dsRNA encoded by the genome or exogenously supplied into oligonucleotides miRNA or siRNA A single strand (the guide or antisense strand) of the ds miRNA associates with RNA-induced silencing complex, or RISC.